Pseudolymphoma can result from long–term use of :
1. Phenytoin
2. Carbamazepine
3. Sodium valproate
4. Phenobarbital

Correct answer: 1. Phenytoin